Digoxin toxicity is enhanced by all, except:
1. Quinidine
2. Hypokalemia
3. Hypomagnesemia
4. Hepatic dysfunction

Correct answer: 4. Hepatic dysfunction

Explanation: Answer is D (Hepatic dysfunction) Digoxin toxicity is enhanced by renal failure as it is excreted through kidneys where as digitoxin toxicity is enhanced by liver failure because it is eliminated by hepatic metabolism. Hepatic dysfunction does not affect digoxin elemination. Reduced tolerance to digoxin may be seen in : Advanced age Q Acute myocardial infarction Q / ischaemia / hypoxemia Magnesium depletion Hypercalcemia Q Hypothyroidism e Renal insufficiency Q Electrical cardioversion. The administration of following drugs raises the serum concentration of digoxin : (by reducing both the renal and nonrenal elimination of digoxin and by reducing its volume of distribution) Quinidine Q Verapamil Amiodarone Propufenonedeg